Most common type of schizophrenia
1. Simple
2. Hebephrenic
3. Catatonic
4. Paranoid

Correct answer: 4. Paranoid

Explanation: D i.e. Paranoid